A 35 year old patient shows abnormal schilling test. Antibiotics were given for 5 days which results in normalization of Schilling test. What is the diagnosis of the patient?
1. Bacterial overgrowth syndrome
2. Chronic pancreatitis
3. Atrophic gastritis
4. Ileocecal TB

Correct answer: 1. Bacterial overgrowth syndrome

Explanation: Abnormal schilling test implies impaired vitamin B12 absorption It can be due to: Pernicious anemia Chronic pancreatitis Bacterial overgrowth Ileal disease Schilling test becoming normal after giving antibiotics implies Bacterial overgrowth. In bacterial overgrowth syndrome there is migration of large intestine flora into the small intestine leading to damage to terminal ileum which is the site of Vit B12 absorption.